All of the true about pseudopancreatic cyst of pancreas except-
1. Presents as an abdominal mass
2. Serum amylase is increased
3. Common after acute pancreatitis
4. Most common site is in head of pancreas

Correct answer: 4. Most common site is in head of pancreas

Explanation: Most common site for pseudopancreatic cyst is the body and tail of pancreas (~85%) - Harrison Ref : Harrison 17/e p2011